Effect of drug in the body is called
1. Pharmaco dynamics
2. Pharmacokinetics
3. Pharmacotherapeutics
4. Pharmacogenetics

Correct answer: 1. Pharmaco dynamics

Explanation: (Pharmacodynamics): (37 KDT 7th edition)PHARMACODYNAMICS - is the study of drug effects* Thus it attempts to elucidate the complete action -effect sequence and the dose-effect relationship* Modification of the action of one drug by another drug is also as aspect of pharmacodynamicsPHARMACOGENETICS - The study of genetic basis for variability in drug response is called pharmacogenetics, It deals with genetic influence on drug action as well as on drug handling by the body.PHARMACOGENOMICS - is the use of genetic information to guide the choice of drug and dose on an individual basis.PHARMACOKINETICS - refers to movement of the drug in and alteration of the drug by the body; includes absorption, distribution, binding / localization / storage, biotransformation and excretion of the drugPHARMACOTHERAPEUTICS - is the application of pharmacological information together with knowledge of the disease for its prevention, mitigation or cure.IDIOSYNCRASY - is genetically determined abnormal reactions**